Which of the following structure doesn't pass through diaphragm
1. Aorta
2. IVC
3. Esophagus
4. Cisterna chyli

Correct answer: 4. Cisterna chyli

Explanation: Ans. (d) Cisterna chyliRef: Clinically Oriented Anatomy by Keith, Moore, 5th Ed, P 387; Grayys Anatomy 40th ed. 1180* The cisterna chyli is a normal anatomical structure seen as saccular area of dilatation in the lymphatic channels that is located in the retrocrural space, usually to the immediate right of the abdominal aorta. It originates at the level of L1/2 vertebral body and extends 5-7 cm in the caudocephalad axis.* Thoracic duct originates from the chyle cistern in the abdomen and ascends through the aortic hiatus in the diaphragm. Thoracic duct ascends in the posterior mediastinum among the thoracic aorta on its left, the azygos vein on its right, the esophagus anteriorly, and the vertebral bodies posteriorly. At the level of the T4, T5, or T6 vertebra, the thoracic duct crosses to the left, posterior to the esophagus, and ascends into the superior mediastinum.* NOTE: Although thoracic duct derives from cisterna chyli, it is the thoracic duct that passes through diaphragm and not the cisterna chyli.